Clostridium tetani is
1. Gram positive bacilli
2. Gram negative bacilli
3. Gram positive cocci
4. Gram negative cocci

Correct answer: 1. Gram positive bacilli

Explanation: Clostridium tetani is a gram-positive, slender bacillus. It occurs singly and occasionally in chains. The spores are spherical, terminal and bulging, giving the bacillus the characteristic 'drumstick' appearance. Reference: Textbook of Microbiology; Anathanarayan and paniker's; 10th edition; Page no: 264